Ciliary staphyloma occurs due to all of the following except
1. Scleritis
2. Episcleritis
3. Perforating injury
4. Absolute glaucoma

Correct answer: 2. Episcleritis

Explanation: STAPHYLOMAS Staphyloma refers to a localised bulging of weak and thin outer tunic of the eyeball (cornea or sclera), lined by uveal tissue which shines through the thinned out fibrous coat. Ciliary staphyloma: As the name implies, it is the bulge of weak sclera lined by ciliary body. It occurs about 2-3 mm away from the limbus. Its common causes are thinning of sclera following perforating injury, scleritis and absolute glaucoma. Ref:- A K KHURANA; pg num:-131,132